Which of the following is found in primary hypothyroidism -
1. T3 decrease, T4 decrease, TSH increase
2. T3 decrease, T4 increase, TSH decrease
3. T3 normal, T4 normal, TSH increase
4. T3 decrease, T4 decrease, TSH normal

Correct answer: 1. T3 decrease, T4 decrease, TSH increase